All are tubal patency tests EXCEPT
1. Tubal CO2 insufflation test
2. Laproscopy
3. Fern test
4. HSG

Correct answer: 3. Fern test

Explanation: Ans. c (Fern test). (Ref. Shaws, Textbook of Gynaecology, 12th/pg.l62)Tests for tubal patencyTests for ovulation1CO2 insufflation/Rubin's test (obsolete)BBT2HSGEndometrial biopsy3Laproscopic chromopertubationFern test4Sonosalpingography and standard USGFolliculometry (USG) -noninvasive, accurate, safe5HysteroscopyHormonal study (progesterone, LH and prolactin)6Transcervical falloscopy 7Ampullary and fimbria! salphingoscopy